Most common site for carcinoma of oral tongue is:
1. Tip
2. Dorsum
3. Lateral border
4. Ventral surface

Correct answer: 3. Lateral border

Explanation: Majority of tongue carcinomas arises from its lateral border. A small number of them arise from the dorsal surface, tip or the ventral aspect.